Christmas tree cataract is seen in
1. Atopic dermatitis
2. Diabetes
3. Myotonic dystrophy
4. Alport syndrome

Correct answer: 3. Myotonic dystrophy

Explanation: Christmas tree cataract is seen in myotonic dystrophy Christmas tree cataract These are polychromatic and highly reflective, needle-shaped opacities in the lens seen in myotonic dystrophy. Usually it does not disturb vision.